Kuffer cells are found in:
1. Heart
2. Lungs
3. Liver
4. Spleen

Correct answer: 3. Liver

Explanation: Liver